In sickle cell anemia there is substitution of
1. Valine for glutamic acid at the sixth position of beta chain
2. Phenylalanine for glutamic acid
3. Tyrosine for valine at the 6th position at beta chain
4. All of the above

Correct answer: 1. Valine for glutamic acid at the sixth position of beta chain